Under which level of prevention should sentinel surveillance be categorised
1. Primordial prevention
2. Primary prevention
3. Secondary prevention
4. Tertiary prevention

Correct answer: 3. Secondary prevention

Explanation: Sentinel surveillance is a method for identifying the missing cases and thereby supplementing the notified cases. it estimates disease prevalence in the total population. Reporting biases are minimised. It detects missing cases; so it comes under secondary prevention. Ref : Park's Textbook of Preventive and Social Medicine; 23rd edition - Pgno 40